In a newly diagnosed case of sick child with type 1 diabetes mellitus (DM), insulin was given. Which of the following will increase:
1. pH
2. Breathing rate
3. Glucosuria
4. Urine osmolality

Correct answer: 1. pH

Explanation: Option A - pH Rise to normal. we know DKA Leads to insulinopenia so we'll give insulin, insulin will Rise PH to normal. Option B - DKA Pt present with fast breathing (kussmaul sign), So when we treat patient, respiratory rate of pt. decrease to normal. Option C- Glucosuria is present in DKA, after giving insulin glucosuria will decrease Option D- Urine Osmolality decrease because after giving insulin sugar will not be in urine.